Which of the following is melatonin receptor agonist-
1. Zolpidem
2. Ramelteon
3. Zomaltone
4. Zelutine

Correct answer: 2. Ramelteon

Explanation: Ans. is 'b' i.e., Ramelteon o Ramelteon is the most recently FDA approved hypnotic.o It is a novel agent (novel hypnotic) with high selectivity for the melatonin receptors MT1 and MT2.o The CYP1A2 isoform of cytochrome P450 is mainly responsible for the metabolism of ramelteon and should not be used with fluvoxamine (an inhibitor of CYP 1 A2).o Ramelteon is used in the treatment of insomnia when the patient has difficulty in falling asleepo Ramelteon has not been found to cause rebound insomnia or withdrawal symptoms, unlike benzodiazepines; neither does it seem to pose a risk for abuse or tolerance. Thus, unlike other hypnotics, ramelteon is not a controlled substance.